If mean is less than the median, than the data is said to be
1. Positively skewed
2. Negatively skewed
3. Equitable distribution
4. Normal distribution

Correct answer: 2. Negatively skewed

Explanation: Ans. is 'b' i.e. Negatively skewed Relationship among the three measures of central tendency (ie mean, median and mode) in a skewed curve is an oft repeated question.Lets first see what skewed distribution curve is.* An asymmetrical distribution curve can be of two types:Positive skewed distribution curveNegative skewed distribution curvePositive (or right) and negative (or left) skewed curves are recognized by the location of the tail of the curve (not by the location of the hump - a common error)Positive or Right skewed distribution curve * there curves have a relatively large number of low scores and a small no of very high scores the mean lies towards the extreme right of the curve Negative or left skewed distribution curve.there curves have a large number of high scores and a relatively small number of low scores the mean lies towards the extreme left of the curve.Now lets see the measures of central tendency.Modeis the most frequently occurring valueit lies at the peak of the hump.Meanis the arithmetic averageit is greatly influenced by the relatively small number of very high or very low scoresit liestowards the extreme right in a right (Positive) distribution curve andtowards the extreme left in a left (negative) distribution curve.Medianis the middle valueit lies b/w the mean and mode dividing the curve into two equal halves.Relationship b/w the measures of central tendency* In a symmetrical curveMean = Median = Mode* In a Positive (Right) skewed curveMean > Median > Mode* In a Negative (left) skewed curveMean < Median < Mode